During the cardiac cycle the opening of the aortic valve takes place at the-
1. Begining of systole
2. End of isovolumetric contraction
3. End of diastole
4. End of diastasis

Correct answer: 2. End of isovolumetric contraction

Explanation: Period of Isovolumic (Isometric) Contraction. Immediately after ventricular contraction begins, the ventricular pressure rises abruptly, a causing the A-V valves to close. Then an additional 0.02 to 0.03 second is required for the ventricle to build up sufficient pressure to push the semilunar (aortic and pulmonary) valves open against the pressures in the aorta and pulmonary artery. Therefore, during this period, contraction is occurring in the ventricles, but there is no emptying. This is called the period of isovolumic or isometric contraction, meaning that tension is increasing in the muscle but little or no shortening of the muscle fibers is occurring. Period of Ejection. When the left ventricular pressure rises slightly above 80 mm Hg (and the right ventricular pressure slightly above 8 mm Hg), the ventricular pressures push the semilunar valves open. Ref Harrison 20th edition pg 1423